Digoxin is not indicated in:
1. Atrial flutter
2. Atrial fibrillation
3. High output failure
4. PSVT

Correct answer: 3. High output failure

Explanation: Ans. (C) High output failure(Ref: KDT 8th/e p560, 561)Digitalis is an inotropic agent that is indicated when heart is not able to pump the blood adequately. High output failure is seen in conditions like anemia and thyrotoxicosis in which heart is already contracting vigorously. Cardiac glycosides, thus are not indicated in high output failure.